A 16 yr old female presents with Primary Amenorhea. Examination shows a Short Blind Vagina, with absent Uterus. The Next Investigation of choice is :
1. Karyotyping
2. IVP
3. Gonadotrophin levies
4. Serum Prolactin

Correct answer: 1. Karyotyping

Explanation: Answer is A (Karyotyping) : A ,female phenotype along with amenorrhea, absent uterus and short blind vagina may result from either : - Female (XX) with mullerian agenesis or - Male pseudo-hermophrodite (XY) - Karyotyping is the investigation of choice, to make such a distinction